L.B.W. Baby -
1. 2.9- 2.6 kg
2. 2.7-2.9 kg
3. 3.2-3.5kg
4. 1.5-2.5 kg

Correct answer: 4. 1.5-2.5 kg

Explanation: Ans. is 'd1 i.e., 1.5-2.5 kg o Low birth weight-2.5 - 1.5 kgo Very low birth weight-1.5 - 1.0 kgo Extremely low birth weight-< 1.0 kg